Under the Primary health care, which of the following staff is present at the subcentre level-
1. Block extension educator
2. Health guides
3. Multipurpose health worker
4. Medical officer

Correct answer: 3. Multipurpose health worker

Explanation: Under the multi purpose worker scheme,one health worker female and one health worker male are posted at each sub-center and are expected to cover a population of 5000 (3000 in tribal and hilly areas). However ,health worker female limits her activities among 350-500 families (refer pgno:908 park 23rd edition)